Polyuria with low fixed specific gravity urine is seen in?
1. Diabetes mellitus
2. Diabetes insipidus
3. Chronic glomerulonephritis
4. Potomania

Correct answer: 3. Chronic glomerulonephritis

Explanation: Ans. is 'c' i.e., Chronic glomerulonephritis o Polyuria with fixed low specific gravity is a feature of chronic glomerulonephritis.o Isosthenuria# Refers to the excretion of urine whose specific gravity (concentration) is neither greater (more concentrated) nor less (more dilute) than that of protein-free plasma, typically 1 008-1 012.# Isothenuria reflects renal tubular damage/failure of renal medullary function.o Potomonia# Is known as beer drinkers hyponatremia and hypo-osmolality syndrome, related to massive consumption of beer.